Renal vein thrombosis is most commonly associated with:
1. Diabetic nephropathy
2. Membranous glomerulopathy
3. Minimal change disease
4. Membrano-proliferative glomerulonephritis

Correct answer: 2. Membranous glomerulopathy

Explanation: Answer is B (Membranous Glomerulopathy): Renal vein thrombosis is most commonly associated with nephrotic syndrome secondary to membranous glomerulopathy. Amongst kidney pathologies causing nephritic syndrome, membranous glomerulopathy has the strongest association with the development of thrombosis in the Renal vein. - Thrombosis & Hemorrhage 3rd/724 Nephrotic Syndrome accompanying membranous ,zlomerulopathy and certain carcinomas predisposes to development of Renal vein thrombosis (which occurs in 10-50 % of patients with these disorders)'